Nail is involved in all except-
1. Psoriasis
2. Lichen planus
3. Fungal infection
4. androgenetic alopecia

Correct answer: 4. androgenetic alopecia

Explanation: Androgenetic alopecia means loss of hair and thinning of hair in the fronto-temporal region- male patern hair loss. Nails are affected in Psoriasis, lichen planus, and fungal infection. Ref Harrison20th edition pg 1234